Which of the follwoing is TRUE about free water clearance?
1. Regulated by ADH
2. Regulated by aldosterone
3. Increased by furosemide
4. None of the above

Correct answer: 1. Regulated by ADH

Explanation: "Free water clearance" (CH2O) is the difference between the urine volume and the clearance of osmoles (COsm). The excretion or retention of electrolyte-free water by the kidney is modulated by circulating vasopressin (ADH). ADH acts on renal V2-type receptors in the thick ascending limb of Henle and principal cells of the collecting duct (CD), increasing cyclic adenosine monophosphate (AMP) and activating protein kinase A (PKA)-dependent phosphorylation of multiple transport proteins. Ref: Mount D.B. (2012). Chapter 45. Fluid and Electrolyte Disturbances. In D.L. Longo, A.S. Fauci, D.L. Kasper, S.L. Hauser, J.L. Jameson, J. Loscalzo (Eds), Harrison's Principles of Internal Medicine, 18e.